Drug that must be sold by retail only when a prescription by RMP is produced is scheduled under:
1. H
2. mM
3. P
4. W

Correct answer: 1. H